Programmed cell death is known as:
1. Cytolysis
2. Apoptosis
3. Necrosis
4. Proptosis

Correct answer: 2. Apoptosis

Explanation: . Apoptosis